Keratan sulphate is found in abundance in
1. Heart muscle
2. Liver
3. Adrenal cortex
4. Cornea

Correct answer: 4. Cornea

Explanation: Keratan sulphate:*Seen in: costal cartilages, cornea, nucleus pulposus and wall of aorta*Comp: nRT*No URONIC ACID*Sulphate is in both gal and glucosamine